In contrast to AUB - O, AUB - E is
1. More responsive to cyclic oral progestins.
2. Relatively unresponsive to progestins.
3. Responds to short duration treatment with MPA.
4. Less responsive to combined OCPs.

Correct answer: 2. Relatively unresponsive to progestins.

Explanation: AUB - E (endometrial) is relatively unresponsive to cyclic oral progestins.